Which of the following carcinomas most frequently metastasizes to brain
1. Small cell carcinoma of lung
2. Prostate cancer
3. Rectal carcinoma
4. Endometrial cancer

Correct answer: 1. Small cell carcinoma of lung

Explanation: Ans. is 'a' i.e. small cell Ca of lung Because of its high blood flow brain is a common site for metastasis. Primary sites in decreasing order are : Lung > breast > melanoma > kidney Prostate Ca, ovarian cancer and Hodgkin's disease rarely metastasizes to brain. (Ref: Harrison I7/e)